Suprasellar calcification with growth retardation is seen in
1. Pineal body tumor
2. Pituitory tumor
3. Thalmic tumor
4. Craniopharyngioma

Correct answer: 4. Craniopharyngioma

Explanation: D i.e. Craniopharyngeoma